0steomas, adenomatous polyps of intestine & periampullary carcinomas are seen in
1. Cowden syndrome
2. Peutz Jegers syndrome
3. FAP
4. Gardener syndrome

Correct answer: 4. Gardener syndrome

Explanation: Gardner's Syndrome Gardner's syndrome is combination of familial polyposis coli and certain extra-colonic lesions such as multiple osteomas (particularly of the mandible and maxilla), sebaceous cysts and connective tissue tumours. mnemonics: GARDEN In FOREST Gardener syndrome Familial polyposis coli, Osteoma Retinal epithelium hypertrophy Supernumerary Teeth TEXTBOOK OF PATHOLOGY 6TH EDITION HARSH MOHAN PAGE NO:585,586 IMAGE REF: